All of the following are true about Procelain gallbladder except
1. May be seen on plain X-Ray
2. More commonly diagnosed on CT
3. It is an indication for cholecystectomy
4. Always denotes benign etiology

Correct answer: 4. Always denotes benign etiology

Explanation: Procelain Gallbladder Characterized by extensive encrustation of GB wall. Term Procelain gallbladder has been used to emphasise the blue discolouration and brittle consistency of GB wall at surgery Clinical features : Most(90%) are associated with gallstones Mean age of patients is 54 years (38-74 years) Patients are usually asymptomatic and the condition is usually found incidentally on plain abdominal radiographs, sonograms or CT images High frequency association (10%) is with GB adenocarcinoma Surgery should not be delayed even if patient is asymptomatic, because the occurrence of carcinoma is remarkably high Ref: Sabiston 20th edition Pgno :1512